Incubation period of measles is:
1. 1-4 days
2. 5-7 days
3. 10-14 days
4. 15-20 days

Correct answer: 3. 10-14 days

Explanation: Incubation period of Measles is 8-12 days.